Japanese B encephalitis virus is transmitted by-
1. Aedes aegypti
2. Culex fatigans
3. Culex tritaeniorhynchus
4. Hard tick

Correct answer: 3. Culex tritaeniorhynchus